All of the following are characteristics of Cephalhematoma EXCEPT?
1. It takes 24-48 hours to appear completely
2. It disappears in 5-7 days
3. It does not cross sutures
4. It predisposes to Neonatal jaundice

Correct answer: 2. It disappears in 5-7 days

Explanation: Cephalhematoma Caput Succedaneum 1. Sub periosteal hemorrhage involving cranial bones 2. Does not cross sutures 3. Takes 24-48 hrs to appear completely 4. Takes 5-7 weeks to disappear Predisposes to jaundice (d/t collection of blood) 1. Due to edema in the layers of scalp 2. May cross sutures 3. Present at birth, in its max. size 4. disappear in 48 - 72 hrs 5. Does not predispose to jaundice